Drug not acting on neuromuscular junction is :
1. Baclofen
2. Carisoprodol
3. Haloperidol
4. All of the above

Correct answer: 4. All of the above